Sudden loss of vision is seen in following, except:
1. CRAO
2. CRVO
3. Optic neuritis
4. Papilledema

Correct answer: 4. Papilledema

Explanation: Papilledema (choked disk) is usually a symptom of increased intracranial pressure caused by a mass, such as a brain tumor. The increased pressure is transmitted to the optic disk through the extension of the subarachnoid space around the optic nerve. Papilledema caused by a sudden increase in intracranial pressure develops within 24 to 48 hours. Visual acuity is not affected in papilledema, although the blind spot may be enlarged. Ref :Chang D.F. (2011). Chapter 2. Ophthalmologic Examination. In P. Riordan-Eva, E.T. Cunningham, Jr. (Eds), Vaughan & Asbury's General Ophthalmology, 18e.